What is the uppermost structure in left lung hilum?
1. Pulmonary artery
2. Pulmonary vein
3. Bronchial artery
4. Left mainstem bronchus

Correct answer: 1. Pulmonary artery

Explanation: A i.e., Pulmonary artery